Which among the following is/are pure beta emitter(s) :
1. I-131
2. Samarium
3. Radium-226
4. Phosphorus-32

Correct answer: 4. Phosphorus-32

Explanation: Pure Beta Emitters : Strontium-89 Phosphorus -32, Ytterium-90